Synthesis of which of the following clotting factors is not affected in liver disease?
1. Factor II
2. Factor V
3. Factor VIII
4. Factor IX

Correct answer: 3. Factor VIII

Explanation: Liver synthesizes all coagulation factors except factor VIII and vWF which are produced by endothelial cells. So production of factor VIII is not affected in liver disease. Clotting factors produced by the liver are factors I, II, V, VII, IX and X. Liver also synthesizes activators and inhibitors of the fibrinolytic system. It is also involved in the synthesis, catabolism and clearence of both procoagulants and anticoagulants such as antithrombin III, fibrin degradation products and plasminogen activators. Ref: The Surgical Review: An Integrated Basic And Clinical Science Study Guide By Pavan Atluri, Page 300